One Anganwari worker is for population of:
1. 1000
2. 5000
3. 10000
4. 50000

Correct answer: 1. 1000

Explanation: 1000